Which of the following structure DO NOT develop in dorsal mesentery
1. Greater omentum
2. Head of pancreas
3. Uncinate process of pancreas
4. Lienorenal ligament

Correct answer: 3. Uncinate process of pancreas

Explanation: The gut tube is suspended by ventral mesentery - Anteriorly Dorsal mesentery - Posteriorly Ventral mesentery: Liver Ventral pancreatic bud Right & Left triangular ligaments Coronary ligaments of liver Falciform ligament of liver Lesser omentum Dorsal mesentery: Spleen Dorsal pancreatic bud Gastrophrenic ligament Gastrosplenic ligament Leinorenal ligament Greater omentum - Ventral pancreatic bud forms: uncinate process & inferior part of pancreatic head - Rest of the pancreas formed by the dorsal bud. - Pancreatic duct of wirsung formed by the distal part of dorsal duct & the entire ventral pancreatic duct. - Proximal part of dorsal pancreatic duct is either obliterated or persists as the accessory pancreatic duct of Santorini.